Which is the colour of highest priority in emergency triage:
1. Red
2. Yellow
3. Black
4. White

Correct answer: 1. Red

Explanation: Ans. (a) RedRef : K. Park 23rd ed. / 795-97